Male started alcohol .20 years, presently taking 3 quarters daily over 3i, ,ears, now complains that he gets the kick in 1 quarter, diagnosis is:
1. Withdrawal
2. Mellanby phenomenon
3. Reverse tolerance
4. Cross tolerance

Correct answer: 3. Reverse tolerance

Explanation: Ans. c. Reverse tolerance